Uricase used in the treatment of chronic gout is
1. Allopurinol
2. Benzbromarone
3. Pegloticase
4. Methotrexate

Correct answer: 3. Pegloticase

Explanation: Ans. is 'c' i.e., Pegloticase Pegloticase is a recombinant mammalian Uricase linked to polyethylene glycol (PEG) approved for the treatment of Hyperuricemia in patients with treatment refractory gout. Pegloticase facilitates the conversion of Uric acid into allantoin, which is far more soluble. Pegloticase is approved for intravenous administration and its use is associated with rapid and marked decline in serum uric acid levels. Agents inhibiting IL-1 action are used for the treatment of refractory Gout Anakinra Canakinumab